Inclusion bodies present in LGV:
1. Levinthal-Cole-Lillie (LCL)bodies
2. Halberstaedter-Prowazek (HP) bodies
3. Miyagawa's granulocorpuscles
4. Henderson - Peterson (HP) Bodies

Correct answer: 3. Miyagawa's granulocorpuscles

Explanation: Halberstaedter-Prowazek (HP) bodies Chlamydia trachomatis Levinthal-Cole-Lillie (LCL)bodies Chlamydia psittaci Henderson - Peterson Bodies Molluscum contagiosum Migaywa's granulocorpuscles LGV (Lymphogranuloma venerum)